False regarding spontaneous bacterial peritonitis
1. Commonly seen in cirrhosis of the liver
2. Important diagnostic test is abdominal paracentesis
3. Most common manifestation is fever
4. Most common pathogen is Anaerobic bacteria

Correct answer: 4. Most common pathogen is Anaerobic bacteria

Explanation: Most common pathogen is gram - negative bacteria (E.coli, klebsiella pneumoniae)